Killian's incision is used for
1. Septoplasty
2. Myringotomy
3. Proof puncture
4. Modified radical mastoidectomy

Correct answer: 1. Septoplasty

Explanation: Killian's incision is used for septoplasty Killians incision in case of deviated nasal septum, make a slightly curvilinear incision, 2-3mm above the caudal end of septal cartilage on the concave side . Re: Textbook of Ear, Nose and Throat, Dhingra, 6th Edition; Pg no: 416